Trident hand is seen in -
1. Achondroplasia
2. Mucopolysaccharidosis
3. Diphyseal achlasia
4. Cleidocranial dystosis

Correct answer: 1. Achondroplasia

Explanation: Ans. is "a* i.e., Achondroplasia o Trident hand is seen in achondroplasia.Important radiological featuresDiseaseo Trident Hando Champagne glass pelviso Scottish terrier dog orScottish dog wearing a col loro Be-headed scotty dog signo Inverted napoleon's Hat signo Gulfs wing appearanceo Opera glass deformityo Cup and pencil deformityo Chondrocalcinosiso Bamboo spineo Trolly tract signo Dagger signo Licked candy stick appearanceo Lincoin - Log appearance of vertebraeo Flowing candle wax or molten wax appearance o Marble bone diseaseo Flowing candle wax appearanceAchondroplasiaAchondroplasiaOblique x-ray of ofSpondylolysisSpondylolisthesisSpondylolisthesisPsoriatic arthritisPsoriatic arthritisPsoriatic arthritisPseudogout (CPPD)Ankylosing spondylitisAnkylosing spondylitisAnkylosing spondylitisLeprosySickle cell anemiaMelorheostosisOsteopetrosisDISH (Foresteier's disease)